Which of the following would have no effect on the fuction of the protein product?
1. Glutamine replaced by asparagine
2. Glutamine replaced by alanine
3. Glutamine replaced by glutamate
4. Glutamine replaced by arginine

Correct answer: 1. Glutamine replaced by asparagine

Explanation: When glutamine is replaced by asparagine,there is no change in the function. This is conservative or homologous replacement of amino acids. Asparagine and glutamine are both uncharged polar(hydrophilic)amino acids.Thus,when replaced with asparagine there is no change in the polarity or the charge of the peptide/protein. Reference: Lehninger Principles of Biochemistrry 6th edition pg79